A 32-year-old woman is noted to be at 34 weeks of gestation. The uterine size is less than her weeks of gestation. An ultrasound is performed which reveals oligohydramnios with an AFI of 2.1 cm. Which of the following agent is responsible for this condition
1. Angiotensin converting enzyme (ACE) inhibitor
2. Lithium exposure
3. Phenytoin (Dilantin)
4. Oral hypoglycemic agent

Correct answer: 1. Angiotensin converting enzyme (ACE) inhibitor

Explanation: Oligohydramnios is found with fetal exposure to ACE inhibitors. Neonatal renal failure may also be noted. Lithium is associated with Epstein anomaly (a fetal heart malformation); Dilantin is associated with a fetal hydantoin syndrome of intrauterine growth retardation, microcephaly, and facial defects.